A region is divided into 50 villages for the purpose of a survey. 10 villages are then selected randomly for the purpose of a study. This type of sampling is termed as -
1. Simple Random sampling
2. Stratified sampling
3. Cluster Sampling
4. Systematic Sampling

Correct answer: 3. Cluster Sampling